The root canal instrument most likely to break during instrumentation is
1. H-file
2. K-file
3. Reamer
4. Pathfinder

Correct answer: 1. H-file